Complete wound strength in terms of collagen recovery is regained in what period of time?
1. Never regained
2. 1 month
3. 6 months
4. 1 year

Correct answer: 1. Never regained

Explanation: Net collagen accumulation peaks after 2-3 weeks after injury. Collagen production peaks after 6 weeks but is balanced by collagen degradation. Initial wound healing is notable for production of large amounts of randomly oriented collagen. During remodelling, this collagen becomes cross-linked and replaced with more organized collagen that is better arranged to resist mechanical stress. However, the final strength of new collagen never reaches the strength of uninjured collagen.